A child is presenting features of hyperparathyroidism. All of the following are true about him except
1. Raised serum calcium
2. Raised serum phosphorus
3. Raised alkaline phosphatase
4. Resorption of minerals from bones

Correct answer: 2. Raised serum phosphorus